All of the following statements are true regarding hyperplasia, except:
1. Seen in cells capable of dividing (labile cells)
2. There is an increase in the number of cells
3. Pathological hyperplasia can be a risk factor for malignancy
4. Bone marrow hyperplasia is not seen in response to peripheral blood cytopenias

Correct answer: 4. Bone marrow hyperplasia is not seen in response to peripheral blood cytopenias

Explanation: Hyperplasia It takes place if the tissue contains cells capable of dividing. Defined as an increase in the number of cells in an organ or tissue in response to a stimulus. Most forms of pathologic hyperplasia are caused by excessive or inappropriate actions of hormones or growth factors acting on target cells. Pathologic hyperplasia may eventually lead to cancerous proliferations. Endometrial hyperplasia is an example of abnormal hormone-induced hyperplasia and patients with endometrial hyperplasia are at increased risk for developing endometrial cancer. Bone marrow can undergo rapid hyperplasia in response to a deficiency of terminally differentiated/mature blood cells (anemia, leucopenia and/or thrombcytopenia).